Splenectomy can lead to:
1. Leucopenia
2. Thrombocytosis
3. Thrombocytopenia
4. Thrombocytopenia and leucopenia

Correct answer: 2. Thrombocytosis

Explanation: Ans. B: Thrombocytosis Thrombocytosis sometimes occurs after spleen-removal surgery. Spleen holds approximately one-third of the blood platelets that are in the human body. So, it stands to reason that the removal of the spleen would prompt an increase in blood-platelet circulation throughout the body. The thrombocytosis condition can persist for upward of two weeks, increasing the patient's risk of life-threatening blood clots.